What is a placental cotyledon?
1. All branches from one stem villi
2. Area supplied by one spiral artery
3. Quarter of placenta
4. Area drained by one terminal villi

Correct answer: 1. All branches from one stem villi

Explanation: Each of the truncal or main stem villi and their ramifications constitutes a placental lobule or cotyledon. Each lobule is supplied with a single truncal branch of chronic artery. And each lobule has a single vein so that lobules constitute functional units of placental architecture. Ref: Williams 24e pg 94.